Drug with Ceiling effect:
1. Morphine
2. Buprenorphine
3. Fentanyl
4. Alfentanyl

Correct answer: 2. Buprenorphine

Explanation: B i.e. Buprenorphine Ceiling effect means particular effect of drug increases with dose of drug, and when the ceiling (roof) is reached further incriment in dose not result in increase in effect. Opioid agonist - antagonist compounds produce respiratory depression (& anelgesia) with a ceiling effectQ. which means higher doses do not produce further respiratory depression and may actually result in increased ventilation (d/t predominance of antagonist actions)